Witzelsucht syndrome (i.e. "Pathological Joking") is seen in -
1. Frontal lobe tumours
2. Parietal lobe tumours
3. Temporal lobe tumours
4. Infra Ventricular tumours

Correct answer: 1. Frontal lobe tumours

Explanation: Ans. is 'a' i.e., Frontal lobe tumours Witzelsucht syndrome is a condition caused by frontal lobe lesions, characterized by self-amusement from poor jokes and puns (therefore also k/a Pathological joking).